The shortest acting opioid is:-
1. Fentanyl
2. Sulfentanil
3. Remifentanil
4. Alfentanyl

Correct answer: 3. Remifentanil

Explanation: Fentanyl : Supplemental doses are to be given after 30 min only Analogues of feentanyl * Sulfentanyl * Alfentanyl Remifentanil Onset of Action : within 1-2 min IV injection Fades in : 10-15 min Short action is due to rapid metabolism Metabolized by : Non specific esterases( Extra hepatic,Extra renal ) Safe in fetus, can be used in labour as analgesic